All of the following are major criteria in the diagnosis of acute rheumatic fever , except
1. Migratory polyarthralgia
2. Subcutaneous nodules
3. Chorea
4. Carditis

Correct answer: 1. Migratory polyarthralgia

Explanation: Ref Harrison 19 th ed pg 2152 Table :381-2 Major manifestations Carditis Polyarthritis Chorea Erythema marginatum Subcutaneous nodules